A 41- year old married female presented with headache for the last 6 months. She had several consultations. All her investigations were found to be within normal limits. She still insists that there is something wrong in her head and seeks another consultation. The most likely diagnosis is:
1. Phobia
2. Psychogenic headache
3. Hypochondriasis
4. Depression

Correct answer: 3. Hypochondriasis

Explanation: C i.e. Hypochondriasis